Which of the following organs is the most common site of origin of the tumour associated with the Zollinger-Ellison syndrome
1. Duodenum
2. Lymph nodes
3. Spleen
4. Pancreas

Correct answer: 1. Duodenum

Explanation: Gastrin producing endocrine tumour is often found in the duodenal loop,although it also occurs in the pancreas,especially in the head. Bailey & Love ,26th, 1055.